"Bracket Calcification" on Skull X-Ray is seen in –
1. Tuberous Sclerosis
2. SturgeWebeSyndrome
3. Lipoma of corpus callosum
4. Meningioma

Correct answer: 3. Lipoma of corpus callosum

Explanation: Bracket calcification is seen in lipoma of the corpus callosum.